Which of the following is true about meningococcal Meningitis -
1. Case fatality less than 10% in untreated cases
2. Cases are the main source of infection
3. Rifampicin is the drug of choice
4. Treatment in the first 2 days can save the life of 95% cases

Correct answer: 4. Treatment in the first 2 days can save the life of 95% cases